Which of the following is true about octeride ?
1. It stimulates growth hormone secretion
2. It is useful in controlling secretery diarrhoea
3. It is active orally
4. Its used is contraindicated in acromegaly

Correct answer: 2. It is useful in controlling secretery diarrhoea

Explanation: Ans is b i.e. It is useful in controlling secretery diarrhoea As octeride is somatostatin analogue, it inhibits the secretion of GH, TSH, prolactin and almost all GI secretions. It is used in acromegaly, bleeding esophalgeal varicies, insulinoma and secretory diarrhoea associated with carcinoid, WDHA syndrome, gastrinoma and glucagnoma.